Drug of choice in simple partial seizure is -
1. Phenytoin
2. Valproic acid
3. Carbemazepine
4. Phenobarbitone

Correct answer: 3. Carbemazepine

Explanation: Ans. is 'c' i.e., Carbemazepine o DOC for generalized tonic clonic seizure (Grand mal), absence seizure (petit mal), Atonic seizure, myoclonic epilepsy valproate. o DOC for partial seizure carbamazepine / oxcarbazepine o DOC for status epilepticus IV lorazepam o DOC for febrile seizures Rectal Diazepam o DOC for seizure of eclampsia --> Magnesium sulfate. o DOC for infantile spasm Vigabatrin. o DOC .for myoclonic epilepsy Valproic acid.